Stage of contraction of family starts at
1. Birth of first child
2. Birth of last child
3. Leaving home of first child
4. Marriage

Correct answer: 3. Leaving home of first child

Explanation: Ans. is 'c' i.e., Leaving home of first child